All are true about basal cell carcinoma except
1. It is locally aggressive  tumour
2. They are slow growing and rarely metastasize
3. Associated with mutations that activate Hedgehog pathway signalling
4. Most common site is acral parts

Correct answer: 4. Most common site is acral parts

Explanation: Basal cell carcinoma -most common site involved is face, It is the most common invasive skin cancer in human being.